M/C symptom of germ cell tumors:
1. Bleeding
2. Irritable Bowel syndrome
3. Nausea & vomiting
4. Subacute pain in abdomen

Correct answer: 4. Subacute pain in abdomen

Explanation: Ans. is d, i.e. Subacute pain in abdomenRef: William Gynae 3rd/ed, p760"Subacute abdominal pain is presenting symptom in 85% patients."